Antidote for organophosphorous poisoning is ?
1. Atropine
2. Neostigmine
3. Succinylcholine
4. D-Tubocurarine

Correct answer: 1. Atropine

Explanation: Ans. is 'a' i.e., Atropine Pharmacological treatment of organonhosphatepoisoning Atropine o Atropine is the mainstay of treatment (antidote of choice). o Atropine antagonizes the muscarinic parasympathetic effects of organophosphate (excessive secretion and vasodilation), but does not antagonize nicotinic effects, i.e., neuramuscular blockers (Atropine blocks muscarinic receptors, i.e., it is an antimuscarinic) o Atropine antagonizes both peripheral as well as central nervous system effects of organophosphates. Cholinesterase regenerator compounds (oximes) o Pralidoxime is most commonly used oxime. o Unlike atropine, they antagonize both muscarinic and nicotinic effects. o They antagonize only peripheral effects, but not central effects except for diacetylmonoxime (DAM) which crosses BBB and antagonizes central effects also.